Normal QRS axis
1. +30 to 110deg
2. -30 to 110deg
3. +110deg to +150deg
4. - 110deg to - 150deg

Correct answer: 2. -30 to 110deg

Explanation: Ans. (b) -30 to 110degRef: Ganong, 25th ed/p.524Normally, the QRS axis ranges from -30deg to +100degAxis more negative than -30deg is called left axis deviationAxis more positive than +100deg is called right axis deviation